Tensor tympani is supplied by
1. Maxillary branch of 5th nerve
2. Mandibular branch of 5th nerve
3. Facial nerve
4. Lingual nerve

Correct answer: 2. Mandibular branch of 5th nerve

Explanation: The tensor tympani lies in a bony canal that opens at its lateral end on the anterior wall of the middle ear, and its medial end on the base of skull. Nerve supply: MANDIBULAR NERVE The fibres pass through the nerve to the medial pterygoid, and through the otic ganglion, without any relay. Development: From the mesoderm of first branchial arch Action: Tensing the tympanic membrane Ref:BDC 6th edition pg 281 (vol 3)